A 30 years old female presents with a diffuse thyroid swelling. On investigation, TSH levels were elevated. Post-operative HPE reports showed intense lymphocytic infiltration and Hurthle cells. Which of the following is the most likely diagnosis?
1. Grave's disease
2. Hashimoto's thyroiditis
3. Follicular carcinoma
4. Medullary thyroid carcinoma

Correct answer: 2. Hashimoto's thyroiditis

Explanation: HASHIMOTO'S THYROIDITIS- AkaStruma Lymphomatosa(conversion of thyroid tissue into lymphoid tissue) - Auto immune disorder -Anti- TPO (anti thyroid peroxidase) autoantibody - Associated with HLA B- 8, DR-3, D Clinical features - Signs & symptoms of Hypothyroidism Permanent destruction of follicles-> permanent hypothyroidism - Diagnosis is done by detection of anti TPO antibodies - FNAC Increased lymphocytic infiltration Presence ofHurthle cells/ Askanazy cells. Treatment Lifelong levothyroxine If Suspicion of malignancy - Total thyroidectomy